Which of these is not a tributary of cavernous sinus?
1. Sphenoparietal sinus
2. Superior petrosal sinus
3. Superficial middle cerebral vein
4. Inferior ophthalmic vein

Correct answer: 2. Superior petrosal sinus

Explanation: Tributaries of cavernous sinus are: From the orbit-1. Superior ophthalmic vein 2.inferior. ophthalmic vein 3.central vein of the retina From the brain-1.superficial middle cerebral vein 2.inferior cerebral vein From the meninges-1.sphenoparietal sinus 2.frontal trunk of middle meningeal vein Notes: Superior petrosal sinus is one of the paired venous sinuses of cranial venous sinus. Ref fig 12.6 pg 194 BDC 6th edition Ref: BDC 6th edition pg :194(3rd vol)